The number of ATPs produced by HMP shunt is
1. Zero
2. One
3. Two
4. Four

Correct answer: 1. Zero

Explanation: The number of ATPs produced by HMP shunt is zero HMP shunt/ Pentose Phosphate pathway Neither produces nor utilizes ATPs. 2 main products of HMP shunt: NADPH - in the irreversible oxidative phase Ribose-5-phosphate - In Reversible non-oxidative phase Rate limiting enzyme - Glucose-6-phosphate dehydrogenase. Extra Edge: The pathways producing Zero ATPs are: HMP (Hexose Monophosphate Pathway) Uronic Acid Pathway Alpha Oxidation Oxidation of Very Long Chain Fatty Acids (VLCFA) RL Shunt/cycle Synthesis of Ketone Bodies